The following statement is false regarding Congenital toxoplasmosis ?
1. Diagnosed by detection of IgM in cord blood
2. IgA is more sensitive than IgM for detection
3. Dye test is gold standard for IgG
4. Avidity testing must be done to differentiate between IgA & IgM

Correct answer: 4. Avidity testing must be done to differentiate between IgA & IgM

Explanation: The avidity test is helpful to know the time of infection. A high-avidity test result indicates that infection began >16 wk earlier ,which is especially useful in determining time of acquisition of infection in the 1st or final 16 wk of gestation. A low-avidity test result may be present for many months and is not diagnostic of recent acquisition of infection. Reference: Nelson textbook of pediatrics 21 st edition Page 1220